The liver biopsy in acute hepatitis due to hepatitis virus is likely to show all of the following, except-
1. Ballooning change of hepatocytes
2. Ground glass hepatocytes
3. Focal or spotty necrosis
4. Acidophil bodies

Correct answer: 2. Ground glass hepatocytes